Most common form of extra-pulmonary TB is?
1. TB CNS
2. TB Lymphadenitis
3. TB Genito-urinary
4. Potts spine

Correct answer: 2. TB Lymphadenitis

Explanation: MC form extra-pulmonary TB is Cervical lymphadenitis (TB lymphadenitis) | Diagnosed by FNAC